All are true regarding recurrent laryngeal nerve except:
1. Supply some intrinsic muscle of larynx
2. Supply inferior constrictor
3. Carry sensation below vocal cord
4. Carry sensation from anterior 2/3 of tongue

Correct answer: 4. Carry sensation from anterior 2/3 of tongue

Explanation: Ans: D (Carry..) Inferior constrictor receives an additional supply from the external & recurrent laryngeai nerve"- BDC 4th/Vol. III 223"'The Inferior phary-ngeai constrictor, the thickest of the three constrictors, arises from the sides of the cricoid and thyroid cartilage. Similarly to the superior and middle pharyngeal constrictor muscles, it is innervated by the vagus nerve (cranial nerve X), specifically, by branches from the pharyngeal plexus and by neuronal branches from the recurrent laryngeal nerve"-www-wikipedia.orgNERVE SUPPLY OF LARYNXMotorAll the muscle which move the vocal cords are supplied by Recurrent Laryngeal nerve except the cricothyroid muscle. The latter receive its innervation from External Laryngeal nerve;; - a branch of superior Laryngeal nerveSensory# Above vocal cords - Internal Laryngeal nerve a branch of Superior Laryngeal nerve# Below vocal cords - Recurrent Laryngeal nerve'-RT Recurrent Laryngeal Nerve - It arise from the vagus' at level of subclavian artery, hooks around it & then ascends b/w the trachea & oesophagus.Lt Recurrent Laryngeal Nerve - It arises from the vagus in the mediastinum at the level of arch of aorta, loops around it & then ascends into the neck in the tracheo-oesophageal groove. Thus, Lt RLN has a much longer coursed which makes it more prone to paralysis as compared to the right one.NERVE SUPPLY OF TONGUE BDC4th/Vol. III 253Sensory# An terior 2/3rds of tongueSomatic: Lingual nerveTaste: Chorda tvmpani branch of Facial nerve0Posterior l/3rd of tongueGeneral somatic afferent and Taste: Glossopharyngeal nerveMotorAll intrinsic and extrinsic muscles of the tongue are supplied by the Hypoglossal nerve (CN XII), except for one of the extrinsic muscles, palatoglossus, which is innervated by CN X of the pharyngeal plexus.